Drug with Antidepressant and antipsychotic property is:
1. Buspirone
2. Amoxapine
3. Trazodone
4. Mianserine

Correct answer: 2. Amoxapine

Explanation: Amoxapine